The development of resistance to conventional treatment has led WHO to recommend the use of combination therapies containing artemisinin derivative (artemisinin-based combination therapies also known as ACTs). All of the following combination therapies are recommended if such resistance is suspected, except :
1. Artemether plus lumefantrine
2. Artesunate plus quinine
3. Artesunate plus pyrimethamine-sulfadoxine
4. Artesunate plus mefloquine

Correct answer: 2. Artesunate plus quinine